Crocodile tears are ssen in
1. Frey's syndrome
2. Conjunctivitis
3. Ophthalmia neonatorum
4. Abnormal facial nerve regeneration

Correct answer: 4. Abnormal facial nerve regeneration

Explanation: Crocodile tear syndrome The mechanism appears to be a misdirection of regenerating gustatory fibers destined for the salivary glands, so that they become secretory fibers to the lacrimal gland and cause homolateral tearing while the patient is eating. A simple procedure, involving subtotal resection of the palpebral lobe of the involved lacrimal gland, proved to be an effective corrective measure in these cases.